The deficient enzyme in Niemann-Pick disease is:
1. b-Glucosidase
2. Sphingomyelinase
3. b-Galactosidase
4. Cerebrosidase

Correct answer: 2. Sphingomyelinase

Explanation: (Sphingomyelinase): Ref: 206-LP, 203-HP (56- R.S.7th)NIEMANN-PICK DISEASE: -* Sphingomyelinase deficiency* Enlarged liver and spleen filled with lipid* Severe intellectual disability and neurodegeneration* Death in early childhood.* Tay-sach's disease (GM2-gangliosidosis): - hexosaaminidase A* GMi Gangliosidosis - b galactosidase* Metachromic Leukodystrophy (MLD): - Aryl sulfatase A* Fabry's disease - a - Galactosidase* Krabbe's disease - b Galactosidase* Gaucher's disease - b - Glucosidase* Farber's disease - Ceramide